Which is not a feature of caffeine withdraw!?
1. Depression
2. Headache
3. Tachycardia
4. Anxiety

Correct answer: 3. Tachycardia

Explanation: Tachycardia